Mallory's hyaline is seen in
1. Hepatitis C infection
2. Amoebic liver abscess
3. Indian childhood cirrhosis
4. Autoimmune hepatitis

Correct answer: 3. Indian childhood cirrhosis

Explanation: Mallory bodies are also found in certain other conditions such as: primary biliary cirrhosis, Indian childhood cirrhosis, cholestatic syndromes, Wilson's disease, intestinal bypass surgery, focal nodular hyperplasia and hepatocellular carcinoma. TEXTBOOK OF PATHOLOGY 6TH EDITION HARSH MOHAN PAGE NO :622